Which of the following structures are found in the quadrangular space?
1. Circumflex scapular vessels and the radial nerve
2. Posterior humeral circumflex artery and axillary nerve
3. Posterior humeral circumflex artery and the radial nerve
4. Profunda brachii artery and the axillary nerve

Correct answer: 2. Posterior humeral circumflex artery and axillary nerve

Explanation: The quadrangular space is bounded superiorly by the teres minor and subscapularis muscles, medially by the long head of the triceps, laterally by the surgical neck of the humerus, and inferiorly by the teres major muscle. It transmits the posterior humeral circumflex vessels and the axillary nerve. Also know: The triangular space, which is bounded by the teres minor, teres major and the long head of the triceps, transmits the circumflex scapular vessels. The posterior humeral circumflex artery and radial nerve do not run in a named interval or space. The profunda brachii artery and the axillary nerve do not run in a named interval or space. Ref: Morton D.A., Foreman K.B., Albertine K.H. (2011). Chapter 30. Shoulder and Axilla. In D.A. Morton, K.B. Foreman, K.H. Albertine (Eds), The Big Picture: Gross Anatomy.